Which of the following is not secreted by Sertoli cells?
1. Activin
2. Inhibin
3. Follistatin
4. Relaxin

Correct answer: 4. Relaxin

Explanation: Relaxin a polypeptide hormone secreted by the corpora lutea of mammalian species during pregnancy. Facilitates the birth process by causing a softening and lengthening of the pubic symphysis and cervix; it also inhibits contraction of the uterus and may play a role in timing of parturition.Ref: Ganong's review of medical physiology;24th edition; page no:-427